An HIV patient complains of visual disturbances. Examination of fundus of the eye bilateral retinal exudates and perivascular haemorrhages. Which of the following virus is the most likely causative agent?
1. Cytomegalovirus
2. Epstein-Barr virus
3. Herpes simplex virus
4. Human herpes virus 8

Correct answer: 1. Cytomegalovirus

Explanation: Patient is showing is features of CMV chorioretinitis. Chorioretinitis is the most frequent clinical manifestation of CMV. Fundus examination shows perivascular hemorrhage, exudates, necrotizing retinitis, and rhegmatogenous retinal detachment. Ref: Ocular Therapeutics Handbook: A Clinical Manual By Bruce E. Onofrey, 2nd Edition, Page 431